Apicoectomy is contraindicated in
1. Extensive bone loss
2. Over filled root canals
3. Lateral perforation at apical third
4. Is not contraindicated

Correct answer: 1. Extensive bone loss